Which of the following is the major proteoglycan of synovial fluid -
1. Chondroitin sulfate
2. Dermatan sulfate
3. Heparan sulfate
4. Hyaluronic acid

Correct answer: 4. Hyaluronic acid

Explanation: Ans. is 'd' i.e., Hyaluronic acid DistributionHyaluronic acido Synovial fluid (provides viscosity), vitreous humor, loose connective tissue)Chondroitin sulfateo Cartilage, bone, tendon, ligament, corneaDermatan sulfateo Pliability of skin, and heart valves, wide distributionKeratan sulfateo Homy structures like hair, nails, claws, horn, hoofso Also present in corneaHeparino Mast cellsHeparan sulfateo Skin fibroblast, aortic wall